Mummification is enhanced by -
1. Moist and hot air
2. Moist and cool air
3. Dry and hot air
4. Dry and cool air

Correct answer: 3. Dry and hot air

Explanation: Mummification requires absence of moisture and continuous action of dry and warm air. Dr. Narayana Reddys Synopsis of Forensic Medicine & Toxicology 27 th edition pg. 87.